The expectation of life, free of disability is known as
1. Smith's Index
2. Sullivan's Index
3. Life Index
4. Pearl Index

Correct answer: 2. Sullivan's Index

Explanation: Sullivan's index or disability-free life expectancy or active life expectancy is the average number of years an individual is expected to live free of disability if the current pattern of mortality and disability continue to apply.Park 23e pg:26